All are indicators of Air pollution except:
1. Soiling index
2. McArdle's index
3. Suspended particle count
4. So2 concentration

Correct answer: 2. McArdle's index

Explanation: Indicators of air pollution: Co2, Co So2 , No2 Air pollution index Soiling index Coefficient of Haze SPM - Best chemical indicator of air pollution - S02. - Best biological indicator of air pollution - Lichens. McArdle's index It is an index of thermal comfort. Max P4SR (Predictable 4 hour sweat rate): <4.5lit/4hours. Beyond this death of person is imminent.